Which of the following finding shall be seen in patient with hyper-parathyroidism?
1. Hypophosphatemia
2. Hyperphosphatemia
3. Hypermagnesemia
4. Hypo magnesemia

Correct answer: 1. Hypophosphatemia

Explanation: Ans. (a) Hypophosphatemia* Vitamin D deficiency will lead to Hypocalcemia. This will result in secondary increase in PTH.* This PTH will now act on proximal convoluted tubule to cause loss of phosphate. The increased bone turnover will cause increase in serum alkaline phosphate.* Important calcium/phosphate and SAP fluctuations which are asked ( especially those in bold)ConditionRicketsHyperparathyroidismOsteoporosisPaget diseaseChronic renal failureSerum calciumLessIncreasedNormalNormalLessSerum hosphateLessLessNormalNormalIncreasedSAPIncreasedIncreasedNormalDisproportionate IncreasedIncreasedPTHIncreasingIncreasednormalnormalIncreased